Two farmers were brought and they died soon. Smell of bitter almonds was coming from their mouth. They died of which poison:
1. Organophosphorus
2. Hydrogen Cyanide
3. Aconite
4. Opium

Correct answer: 2. Hydrogen Cyanide

Explanation: B i.e. Hydrogen Cyanide Hydrocyanic acid (prussic acid) is a colourless gas with penetrating odour resembling that of bitter almondsQ and poisoning may be seen after young linseed plant consumptionQ. Poisoning Odour - H2S (Hydrogen sulphide) - Rotten - eggQ - Zinc phosphide - Fishy - Arsenic Zinc phosphide, - Garlic odourQ Aluminium phosphide (Celphos) - Ethyl alcohol - Fruity - Cyanide - Bitter almondsQ - Organophosphates & kerosene - Kerosene like - Carbolic acid - Phenolic - Cannabis - Burnt rope